SARS - false statement is
1. Incubation period is 10 to 15 days
2. Affects CD8 + T cells than CD4 + T cells
3. Constipation is marked during first 3 days
4. All of the above

Correct answer: 4. All of the above

Explanation: (D) All of the above # CLINICAL MANIFESTATIONS: After an incubation period that generally lasts 2 to 7 days (range, 1 to 10 days), SARS usually begins as a systemic illness marked by the onset of fever, which is often accompanied by malaise, headache, and myalgias and is followed in 1 to 2 days by a nonproductive cough and dyspnea.> Approximately 25% of patients have diarrhea. Chest x-rays can show a variety of infiltrates, including patchy areas of consolidation--most frequently in peripheral and lower lung fields--or interstitial infiltrates, which can progress to diffuse involvement.> In severe cases, respiratory function may worsen during the second week of illness and progress to frank adult respiratory distress syndrome (ARDS) accompanied by multiorgan dysfunction. Risk factors for severity of disease include an age of 50 and comorbidities such as cardiovascular disease, diabetes, or hepatitis.> Illness in pregnant women may be particularly severe, but SARS-CoV infection appears to be milder in children than in adults.> Laboratory abnormalities in SARS include lymphopenia, which is present in -50% of cases and which mostly affects CD4+ T cells but also involves CD8+ T cells and NK cells.> Total white blood cell counts are normal or slightly low, and thrombocytopenia may develop as the illness progresses.> Elevated serum levels of aminotransferases, creatine kinase, and lactate dehydrogenase have been reported.